Pus collection in "quinsy" usually gets collected in which location?
1. Peritonsillar space
2. Within the tonsil
3. Parapharyngeal space
4. Retropharyngeal space

Correct answer: 1. Peritonsillar space

Explanation: Quinsy usually follows an episode of acute tonsillitis. Parapharyngeal abscess is a complication of quinsy.